A serious complication of fractures of the femoral neck is avascular necrosis of the femoral head. This usually results from rupture of which artery?
1. Acetabular branch of obturator
2. Deep circumflex iliac
3. Descending branch of lateral circumflex femoral
4. Medial circumflex femoral

Correct answer: 4. Medial circumflex femoral

Explanation: It is important to remember that the medial circumflex femoral artery supplies blood to the femoral neck. During fractures of the femoral neck, this artery may be ruptured, and the femoral neck will be deprived of blood. The acetabular branch of the obturator artery provides blood to the acetabulum of the hip bone, which articulates with the head of the femur to form the hip joint. The deep circumflex iliac artery is a branch of the external iliac artery that runs on the deep aspect of the anterior abdominal wall, supplying that region. The descending branch of the lateral circumflex femoral supplies the lateral thigh and hip.